Hypertonic urine is excreted due to absorption of water in:
1. Collecting ducts
2. DCT
3. Ascending part of loop of Henley
4. Descending part of loop of Henley

Correct answer: 1. Collecting ducts

Explanation: A i.e. Collecting DuctOsmolality of urine depends on the action of vasopressin on the collecting ductsQ. Alteration in water metabolism by vasopressinUrine isotonic to plasmaGFR (ml/min)% of filteredwaterreabsorbedUrine volume(L/d)Urine concentration(mosm /kg H20)Gain /Loss of water inexcess of solute (L/d)12598.72.4290 Vasopressin present12599.70.51400Q (almost 5 timeof plasma)1.9 gainNo vasopressin (Diabetesinsipidus)12587.123.33020.9 loss